Criteria for Brainstem death includes
1. Positive Doll's eye Reflex
2. Absent pupillary light reflex and delated pupils
3. Pinpoint pupils
4. Positive vestsibulo-ocular reflex

Correct answer: 2. Absent pupillary light reflex and delated pupils

Explanation: Harrison's principles of internal medicine 17th edition. *Cardinal signs of death are cessation of cardiac function and respiration,pupils become fixed,body becomes cool,muscles and incontinence may occur